If both parents are sickle cell anemia patients then the likelyhood of offsprings having the disease is-
1. 10%
2. 25%
3. 50%
4. 100%

Correct answer: 4. 100%

Explanation: Sickle cell anemia is autosomal recessive.